Which of the following is not a disc sign in glaucoma?
1. Bayonetting
2. Nasalization of vessels
3. Disc edema
4. Large cup

Correct answer: 3. Disc edema

Explanation: Disc edema is not a sign of glaucoma. Optic nerve head changes seen in glaucoma Thinning of neuroretinal rim Large cup Nasalisation of vessels Deep cup Asymmetry of cup Disc hemorrhage Baring of blood vessels Bayonetting sign Laminar dot sign Pulsations of disc seen in very high IOP